Molisch's test is positive in all except
1. Mucoproteins
2. Glycoproteins
3. Sucrose
4. Phospholipids

Correct answer: 4. Phospholipids

Explanation: reference from DM Vasudevan 8th edition page no.93 and 108 Molisch test is the general test for carbohydrate. 1:mucoproteins give +ve molisch test because A mucoprotein is a glycoprotein composed primarily of mucopolysaccharides. 2: glycoprotein also gives +ve molisch test because glycoprotein consists of both carbohydrate and protein. 3: sucrose also gives +ve molisch test because it is a carbohydrate. sucrose is a disaccharide consisting of glucose + fructose. 4: phospholipids give -ve molisch test as it does not contains carbohydrate. phospholipids are derivatives of phosphatidic acid, phosphatidic acid is made up of one glycerol to which two fatty acids are esterified at carbon 1 and 2.the 3rd hydroxyl group is esterified to a phosphoric acid